Which among the following is common cause for transverse lie
1. Prolonged labor
2. Nulliparity
3. Placenta previa
4. Oligohydramnios

Correct answer: 3. Placenta previa

Explanation: Most common causes of transverse lie are:

Multiparity
Preterm fetus
Abnormal uterine anatomy
Hydramnios
Contracted pelvis.